A 32 year old carpenter presented to you with history of recurrent attacks of chest pain . You prescribe him sublingual nitroglycerin  and advise him to take it at the time of pain. The patient revisits the hospital again after 2weeks and tells that the intensity of chest pain has increased on taking nitroglycerin.  The patient is most likely suffering from
1. Aortic regurgitation
2. Hypertrophic obstructive  cardiomyopathy
3. Aortic dissection
4. Aortic aneurysm

Correct answer: 2. Hypertrophic obstructive  cardiomyopathy

Explanation: Nitrates are vasodilator drugs which aggravate condition of HOCM , so it is generally not used in HOCM